All the following is characteristic of uncompetitive inhibition except
1. Inhibitor is not a substrate analogue
2. Inhibitor binds to the active site
3. Inhibitor binds to the ES complex
4. Vmax and Km decreased

Correct answer: 2. Inhibitor binds to the active site

Explanation: An uncompetitive inhibitor binds at a site distinct from the substrate active site and, unlike a competitive inhibitor, binds only to the ES complex. Ref: KD Tripathi 8th ed